Angle of gissane is for which bone -
1. Talus
2. Calcaneum
3. Navicular
4. Cuboid

Correct answer: 2. Calcaneum

Explanation: Ans. is 'b' i.e., Calcaneum [Ref: Maheshwari 5th/e p. 167Radiological angles on Lateral view of Calcaneum* Bohler's Tuber Joint Angle and Crucial Angle of Gissane are measured for Intra Articular Fractures of Calcaneum.1) Bohler's angle (tuber joint angle)# It measues the angular relationship between talus and calcaneum line: -a) Drawn from the posterosuperior margin of the calcaneal tuberosity through the tip of the posterior facet of the subtalar joint,b) Drawn from the tip of the posterior facet through the superior margin of the anterior process of the calcaneum.# Normally this angle ranges between 20 & 40deg# Flattening of this angle is a classic x-ray sign of depressed fracture of calcaneum.2) Crucial angle of Gissane# This angle is formed betweenDownward portion of the posterior facet and the upward portion (This angle wedge the lateral process of Talus)# Normal angle of Gissane is approximately 100deg# An Increase in the angle of Gissane indicates intraarticular fracture of calcaneum (by axial compressive force).